Fluctuating level of consciousness is seen in
1. Hysteria
2. Delirium
3. Dementia
4. Mania

Correct answer: 2. Delirium

Explanation: Delirium is characterized by an acute decline in both the level of consciousness and cognition with particular impairment in attention. Reference: Kaplan & Sadock's Synopsis of Psychiatry: Behavioral Sciences/Clinical Psychiatry, 11th Edition, page 697.